Recent drug for metastatic hormone receptor(+)and HER-2 (-) metastatic breast cancer :
1. Palbociclib
2. Ipataseib
3. Herceptin
4. Buparlisib

Correct answer: 1. Palbociclib

Explanation: Palbociclib is a recent drug for metastatic hormone receptor(+)and HER-2 (-) breast cancer. It works by inhibiting Cyclin-dependent kinase 4/6. Other examples of this class of drug includes: Ribociclib, Abemaciclib. These drugs are used along with letrozole (aromatase inhibitor) and/or fulvestrant (selective estrogen-receptor downregulator) Herceptin/Trastuzumabis used in Her-2 neu positive breast cancer. Ipataseib is an AKT (Protein kinase B) inhibitor used in metastatic triple-negative breast cancer. Buparlisib is a Phophatidyl-inositol 3 kinase (PI3k) inhibitor which is still in trial stages for treatment of metastatic breast carcinoma